All are sporicidal agents except ?
1. Formaldehyde
2. Glutaraldehyde
3. Ethylene oxide
4. Isopropyl alcohol

Correct answer: 4. Isopropyl alcohol

Explanation: Other disinfectants are used for destroying spores. Isoprpylalchohol is an antiseptic used mainly as skin disinfectant and act by denaturing bacterial proteins REF:Ananthanarayan & Panicker's Textbook of Microbiology 9th edition pg no:34